Earliest and often the only presentation of TB kidney is:
1. Increased frequency
2. Pain
3. Hematuria
4. Renal calculi

Correct answer: 1. Increased frequency

Explanation: Clinical Features Earliest symptom is urinary frequency. Tuberculosis of genital tract should be considered in the presence of following situations Chronic cystitis that refuses to respond to adequate treatment Sterile pyuria, gross or microscopic hematuria. Non- tender enlarged epididymis with beaded or thickened vas. Chronic draining scrotal sinus. Induration or nodulation of prostate and thickening of one or both seminal vesicle.